Commonest site of peptic ulcer is
1. 1st part of duodenum
2. 2nd part of duodenum
3. Distal 1/3rd of stomach
4. Pylorus of the stomach

Correct answer: 1. 1st part of duodenum

Explanation: Common sites for peptic ulcers are the first part of the duodenum and the lesser curve of the stomach, but they also occur on the stoma following gastric surgery, the oesophagus and even in a Meckel's diverticulum, which contains ectopic gastric epithelium.Bailey and love pg: 1116